Early stage non proliferative diabetic retinopathy is present as:
1. Microaneurysms
2. Dot and Blot hemorrhages
3. Hard exudates
4. Soft exudates

Correct answer: 1. Microaneurysms

Explanation: Ans. (a) MicroaneurysmsRef.: A.K. Khurana 6th ed. /276-77DIABETIC RETINOPATHY* The retinal change seen in diabetes are called as diabetic retinopathy. In diabetes, there is pericytes necrosis. Normally ratio 1 pericytes: 1 endothelial cell. But in diabetic retinopathy 1 pericyte: 3 endothelial cell. The vessels wall is weakened and leakage occurs. Classification--# Non proliferative diabetic retinopathy# Proliferative diabetic retinopathyNon proliferative diabetic retinopathyProliferative diabetic retinopathy* Microaneurysms- early manifestation* Dot and Blot hemorrhages* Hard exudates* Soft exudates* Neovascularization of the disc* Neovascularization of anywhere else from the disc* Neovascularization of iris- RUBIOSSIS IRIDIS